Prudent diet is
1. Diet, which contains variety of foods to safe guard from deficiencies
2. Diet for dietary goal achievement
3. Diet on which a person or group lives
4. Diet, which fulfills recommended daily allowances

Correct answer: 2. Diet for dietary goal achievement